Chemotherapy of Ewings sarcoma includes all except?
1. Doxorubicin
2. Dactinomycin
3. Topotecan
4. 5 FU

Correct answer: 4. 5 FU

Explanation: Ans. is 'd' i.e., 5 FU Chemotherapy for Ewings Sarcoma: Systemic chemotherapy is the mainstay of therapy, often being used before surgery. Doxorubicin, cyclophosphamide or ifosfamide, etoposide, vincristine, and dactinomycin are active drugs. Topotecan or irinotecan in combination with an alkylating agent are often used in relapsed patients. Targeted therapy with an anti-IGF 1 receptor antibody appears to have promising activity in refractory cases. Local treatment for the primary tumor includes surgical resection, usually with limb salvage or radiation therapy.